AIDS was first diagnosed in patients suffering from
1. Ciytococcus neoformans meningitis
2. Pneumocystis carini
3. Kaposi sarcoma
4. Tuberculosis

Correct answer: 2. Pneumocystis carini